All are precancerous for carcinoma bladder except -
1. Tuberculosis bladder
2. Aniline dyes
3. Schistosomiasis
4. All

Correct answer: 1. Tuberculosis bladder

Explanation: Ans. is 'a' i.e. Tuberculosis bladder